Which of the following layers are cut during fasciotomy ?
1. Skin
2. Skin+subcutaneous fascia
3. Skin+subcutaneous tissue+Superficial fascia
4. Skin+subcutaneous tissue+Superficial fascia+deep fascia

Correct answer: 4. Skin+subcutaneous tissue+Superficial fascia+deep fascia

Explanation: Fasciotomy or fasciectomy is a surgical procedure where complete opening of all fascial envelope is done to relieve tension or pressure commonly to treat the resulting loss of circulation to an area of tissue or muscle. Fasciotomy is a limb-saving procedure when used to treat acute compartment syndrome. REF : BAILEY AND LOVE 27TH ED